All of the following are characteristic features of Kwashiorkar, except -
1. High blood osmolarity
2. Hypoalbuminemia
3. Edema
4. Fatty liver

Correct answer: 1. High blood osmolarity

Explanation: Ans. is 'a' i.e., High blood osmolarity